Diuresis produced by alcohol is due to
1. Decreased tubular reabsorption
2. Increased glomerular filtration rate
3. Osmotic diuresis
4. Inhibition of ADH secretion

Correct answer: 4. Inhibition of ADH secretion

Explanation: Diuresis- increased formation and secretion of urine. Diuresis occurs in conditions such as diabetes mellitus, diabetes insipidus, and acute renal failure.Vasopressin is a peptide hormone that increases water permeability of the kidney's collecting duct and distal convoluted tubule by inducing translocation of aquaporin-CD water channels in the plasma membrane of collecting duct cells. It also increases peripheral vascular resistance, which in turn increases arterial blood pressure. It plays a key role in homeostasis, by the regulation of water, glucose, and salts in the blood.Ref: Ganong's review of medical physiology; 24th edition; page no:- 311